Which of the following would cause a decrease in stroke volume, when compared with the normal resting value?
1. Reduction in afterload
2. An increase in end-diastolic pressure
3. Stimulation of the vagus nerves
4. Electrical pacing to a heart rateof 200 beats/min

Correct answer: 4. Electrical pacing to a heart rateof 200 beats/min

Explanation: Electrical pacing to a heart rate of 200 beats/min would decrease the time for filling and reduce end-diastolic volume.A reduction in afterload would make it easier for the ventricle to eject blood and would raise stroke volume.An increase in end-diastolic pressure will increase end-diastolic fiber length and increase the force of contraction and stroke volume.Stimulation of the vagus nerves slows the heart, increases the time for ventricular filling, and increases stroke volume.Stimulation of sympathetic nerves to the heart increases heart rate and contractility.Despite the decreased filling accompanying an increase in heart rate, stroke volume will stay the same or increase because of the increased contractility